A woman with a history of repeated abortions gave birth to a low birth weight baby. The child is having rashes over palm and rhinitis. The most probable diagnosis is
1. Congenital HIV
2. Congenital syphilis
3. Congenital rubella
4. Pemphigus

Correct answer: 2. Congenital syphilis

Explanation: Ans. B: Congenital Syphilis Symptoms in newborns with congenital syphilis may include: Failure to gain weight or failure to thrive Fever Irritability No bridge to nose (saddle nose) Early rash -- small blisters on the palms and soles Later rash -- copper-colored, flat or bumpy rash on the face, palms, and soles Rash of the mouth, genitalia, and anus Watery discharge from the nose Congenital rubella predominantly include cochlear (sensori-neural deafness), cardiac (septal defects, PDA), hematologic, ophthalmic (cataracts, retinopathy) and chromosomal abnormalities.